A 45 years old lady presented with dysfunctional uterine bleeding. On transvaginal USG thickness of endometrium was found to be 8 mm. What should be the next step in the management of this patient
1. Histopathology
2. Hysterectomy
3. Progesterone
4. OCP

Correct answer: 1. Histopathology

Explanation: In case of endometrial hyperplasia, histopathology is done to rule out malignancy Two percent women with simple hyperplasia are at a risk of endometrial cancer Ref: Shaw Gynecology 17 e pg 139.